Goldenhar syndrome is?
1. Facial deformity, auricular abnormalities and vertebral deformity
2. Facial deformity, auricular abnormalities, vertebral deformity and genital lesion
3. Facial and auricular abnormalities only
4. Auricular abnormalities only

Correct answer: 1. Facial deformity, auricular abnormalities and vertebral deformity